Fasting Blood Sugar (FBS) of a population is known to be normally distributed, with a mean of 105 mg% and standard deviation of 10 mg%. Thus 95% of the population will have FBS within -
1. 104 and 106
2. 95 and 115
3. 85 and 125
4. 75 and 135

Correct answer: 3. 85 and 125

Explanation: Ans. is 'c' i.e., 85 and 125 o 95% of population will have FBS within 2 Standard Deviation (+-2SD) of mean. o Since the mean FBS is 105 mg% and standard deviation is 10 mg%, 95% of population will have FBS between 105 +-2SD i.e. 105 +- 20 i.e. 85 and 125.